The Millennium Development Goals (MUG) is to be achieved by the year -
1. 2010
2. 2015
3. 2020
4. 2030

Correct answer: 2. 2015

Explanation: Ans. is 'b' i.e., 2015